All the following are Serine proteases, Except
1. Chymotrypsin
2. Trypsin
3. Thrombin
4. Carboxy peptidase

Correct answer: 4. Carboxy peptidase

Explanation: Serine ProteasesTrypsinChymotrypsin AChymotrypsin BThrombinPlasminRef: Harper's Biochemistry; 30th edition; Chapter 7; Enzymes: Mechanism of Action